Caisson’s disease
1. Gas Embolism
2. Fat embolism
3. Amniotic fluid embolism
4. Tumor embolism

Correct answer: 1. Gas Embolism